All of the following are phospholipids EXCEPT
1. Lecithin
2. Sphingomyelin
3. Cephalin
4. Cerebroside

Correct answer: 4. Cerebroside

Explanation: (D) Cerebroside # Cerebroside is a glycolipid found in brain. Sphingosine core fatty amide & a single monosaccharide as the alcohol group